Nutrient artery arises to fibula from -
1. Peroneal artery
2. Anterior tibial artery
3. Dorsalis pedis
4. Popliteal artery

Correct answer: 1. Peroneal artery

Explanation: Nutrient artery to fibula is peroneal artery branch of posterior tibial artery.